Toll-like receptor associated with virus is?
1. TLR1
2. TLR2
3. TLR3
4. TLR4

Correct answer: 3. TLR3

Explanation: Ans. C. TLR3Toll-like receptors (TLRs) are a class of proteins that play a key role in the innate immune system. They are single membrane-spanning non-catalytic receptors that recognize structurally conserved molecules derived from microbes. Once these microbes have breached physical barriers such as the skin or intestinal tract mucosa, they are recognized by TLRs which activates immune cell responses.Summary of known mammalian TLRsToll-like receptors bind and become activated by different ligands, which, in turn are located on different types of organisms or structures. They also have different adapters to respond to activation and are located sometimes at the cell surface and sometimes to internal cell compartments. Furthermore, they are expressed by different types of leucocytes or other cell types:ReceptorLigand(s)Ligand locationAdapter(s)LocationCell typesTLR 1multiple triacyl lipopeptidesBacteriaMyD88/ MALcell surfacemonocytes/ macrophages a subset of dendritic cells B lymphocytesTLR 2multiple glycolipidsBacteriaMyD88/ MALcell surfacemonocytes/ macrophagesMyeloid dendritic cellsMast cellsmultiple lipopeptidesBacteriamultiple lipoproteinsBacterialipoteichoic acidBacteriaHSP70Host cellsZymosanFungiNumerous others TLR 3double-stranded RNA, poly I:CvirusesTRIFcell compartmentDendritic cells B lymphocytesTLR 4lipopolysaccharideGram- negative bacteriaMyD88/ MAL/ TRIF/ TRAMcell surfacemonocytes/ macrophagesMyeloid dendritic cellsMast cellsIntestinal epitheliumseveral heat shock proteinsBacteria and host cellsfibrinogenhost cellsheparan sulfate fragmentshost cellshyaluronic acid fragmentshost cellsNumerous others TLR 5flagellinBacteriaMyD88cell surfacemonocyte/ macrophages a subset of dendritic cells Intestinal epitheliumTLR 6multiple diacyl lipopeptidesMycoplasmaMyD88/ MALcell surfacemonocytes/ macrophagesMast cellsB lymphocytes